what is the only phobia that is assosiated with giddiness and falls
1. blood injection phobia
2. thanatophobia
3. claustrophobia
4. hydrophobia

Correct answer: 1. blood injection phobia

Explanation: Applied tension is used for blood injection phobia where there is hypotension and falls, in these patients falls is because of vasodilatations when we use applied tension there may be constriction of hand and leg muscles which prevents vasodilation and prevents falls. Ref. kaplon and sadock, synopsis of psychiatry, 11 th edition, pgg no. 845